Squamous cell carcinoma arise from:
1. Intercalated duct reserve cell.
2. Excretory duct reserve cell.
3. Both of the above.
4. None.

Correct answer: 2. Excretory duct reserve cell.